All of the following statements about the vagus nerve are true except that it
1. Supplies heart & lung
2. Carries postganglionic parasympathetic fibers
3. Innervates right two third of transverse colon
4. Stimulates peristalsis & relaxes sphincters

Correct answer: 2. Carries postganglionic parasympathetic fibers

Explanation: It carries preganglionic secretomotor fibres to the submandibular ganglion for supply of the submandibular and sublingual salivary glands. REF:BDC VOL.3,FIFTH EDITION.